gordons syndrome is charecterized by by al except ?
1. hyperkalemia
2. metabolic acidosis
3. low rennin and low aldosterone
4. hypotension

Correct answer: 4. hypotension

Explanation: * Type II pseudohypoaldosteronism in adults with HT( Gordon's syndrome ) .primary defect may be related to "enhanced Cl reabsorption in early distal tubule".../imit Na delivery to more distal tubule, decreased lumen negativity, impaired K secretion due to voltage-shunt effect -- Increased NaC1 reabsorption expand ECF volume...HT and suppress RAAS -- Hyper K contributes to inhibition of renin secretion -- PA..normal or suppressed depending upon balance between inhibitory effect of volume expansion and stimulatory effect of hyperkalemia harrisons 21st ed